Ovulation is associated with sudden rise in:
1. Prolactin
2. Testosterone
3. LH
4. Oxytocin

Correct answer: 3. LH

Explanation: C i.e. LH